All of the following may be seen in patient of cardiac tamponade except-
1. Kussmaul's sign
2. Pulsus paradoxus
3. Electrical alternans
4. Right ventricular diastolic collapse on echocardiogram

Correct answer: 1. Kussmaul's sign